What is Strong sewage?
1. Biological oxygen demand >300 mg/L
2. Biological oxygen demand >200 mg/L
3. Biological oxygen demand <250 mg/L
4. Biological oxygen demand >150 mg/L

Correct answer: 1. Biological oxygen demand >300 mg/L

Explanation: SEWAGE: Contain 99.9% water. Contamination/ Strength of sewage is calculated by Biological oxygen demand/Chemical oxygen demand/Suspended solids. BOD >= 300 g/l, it is k/a strong sewage Suspended solids >500 mg/L - STRONG SEWAGE EXTRA EDGE: Waste Disposal: - Refuse - Solid waste from living room/ street / industry - Garbage - Solid waste from kitchen - Solid wastes -shouldn't contain Night soil - Sewage - Liquid waste with human excreta. Feco-oral diseases transmits through this. It doesn't contain night-soil. - Sullage - Liquid waste without human excreta.